Orthodeoxia is a feature of
1. Hepatorenal syndrome
2. Hepatopulmonary syndrome
3. Hepatic encephalopathy
4. Hepatic failure

Correct answer: 2. Hepatopulmonary syndrome

Explanation: Answer- B. Hepatopulmonary syndromeOrthodeoxia refeis to arterial desaturation noted when sitting uP as opposed to lying down.Conditions associated:A) Cardiac (intracardiac shunt)Atrial septal defect (ASD)Patent foramen ovale (PFO)PneumonectomyUsually associated with pulmonary hypertension or raised right atrial (RA) pressure (e.g. constrictive pericarditis, cardiac tamponade).B) Pulmonary (intrapulmonary right-to-left shunts)HepatopulmonarysyndromePulmonary diseaseCOPDPulmonary embolismC) Upper airway tumourAcute respiratory distress syndromeD) MiscellaneouscausesAutonomic neuropathyAcute respiratory distress syndrome (ARDS)